Prescription drugs are included in:
1. Schedule C of Drugs and Schedule C of Drugs and Cosmetic Act
2. Schedule H of Drugs and Schedule C of Drugs and Cosmetic Act
3. Schedule P of Drugs and Schedule C of Drugs and Cosmetic Act
4. Schedule X of Drugs and Schedule C of Drugs and Cosmetic Act

Correct answer: 2. Schedule H of Drugs and Schedule C of Drugs and Cosmetic Act

Explanation: Schedule H of Drugs and Schedule C of Drugs and Cosmetic Act